Delayed hypersensitivity involves -
1. Neutrophils
2. Monocytes
3. Eosinophils
4. Lymphocytes

Correct answer: 4. Lymphocytes

Explanation: Delayed or cell-mediated hypersensitivity is a cell-mediated response. The antigen activates specifically ssensitizedCD4 & CD8 T lymphocytes leading to the secretion of lymphokines and phagocyte accumulation. Reference:nathanarayan & paniker's 9th edition, pg no: 162